Drug of choice for controlling severe pain in cancer patients is:
1. Morphine
2. Diclofenac
3. Ibuprofen
4. Codiene

Correct answer: 1. Morphine

Explanation: Morphine is a potent analgesic and relieves pain without loss of consciousness. Dull aching visceral pain is relieved better than sharp aching pain. Ref KD Tripathi 8th ed.